Perscualr lymphocytes and microglial nodules are seen in
1. Multiple sclerosis
2. CMV meningitis
3. Bacterial meningitis
4. HIV encephalitis

Correct answer: 4. HIV encephalitis

Explanation: Refer Robbins page no Pg 1278 HIV encephalitis is best characterized by microscopically as a chronic inflammatory reaction with widely distributed infiltrates of microglial nodules